Retro peritoneal fibrosis is caused by drug
1. Methysergide
2. Melphalan
3. Cyclosporine
4. All

Correct answer: 1. Methysergide